The taste sensation to the anterior 2/3rd of the tongue is subserved by?
1. Chorda tympani nerve
2. Jacobson's nerve
3. Glossopharyngeal nerve
4. Trigeminal nerve

Correct answer: 1. Chorda tympani nerve

Explanation: The sensory nerve fibers from the taste buds on the anterior two-thirds of the tongue travel in the chorda tympani branch of the facial nerve, and those from the posterior third of the tongue reach the brainstem the glossopharyngeal nerve. The fibers from areas other than the tongue (eg, pharynx) reach the brain stem the vagus nerve. Also Know: Jacobson's Nerve (also known as the Tympanic Nerve), is the somatic sensory nerve of the middle ear and the efferent branch of the Glossopharyngeal nerve (CN IX) to the Parotid Gland.